Membrane attack complex (MAC) in complement system is:
1. C3b
2. C13
3. C5_9
4. C24

Correct answer: 3. C5_9

Explanation: Ans. c. C5_9